Multifactorial inheritance is seen in
1. Neurofibroma
2. Haemophilia
3. Cardiac septal defects
4. Hypophosphatemic rickets

Correct answer: 3. Cardiac septal defects

Explanation: *The multifactorial disorders result from the combined actions of environmental influences and two or more mutant genes.*Some disorders of multifactorial inheritance are cleft lip/palate, congenital heart disease, coronary heart disease, hypertension, gout, diabetes, pyloric stenosis etc.*Note: Most of the congenital diseases are multifactorial. In our question "cardiac septal defect" is the only congenital disease.(Ref: Robbins 7/e p170)